Most common cause of Hirsutism:
1. Polycystic ovary disease
2. Arrhenoblastoma
3. Cushing syndrome
4. Congenital adrenal hyperplasia

Correct answer: 1. Polycystic ovary disease

Explanation: Hirsutism is defined as excessive growth of androgen dependant sexual hair or male distribution of hair in a female.